Long acting corticosteroid is -
1. Triamcinolone
2. Betamethasone
3. Hydrocortisone
4. Prednisolone

Correct answer: 2. Betamethasone

Explanation: Ans. is 'b' i.e., Betamethasone o Short acting glucocorticoids (t 1/2 .6 : 8-12 hrs.) : Cortisol, hydrocortisone.o Intermediate acting glucocorticoids (t 1/2 : 12-36 hrs.) : Prednisolone, methylprednisolone, triamcinolone.o Long acting glucocorticoids (t 1/2 : 36-54 hrs.) : Dexametkasone, betamethasone.